Modern IOL is made up of –a) Acrylic acidb) PMMAc) PMLd) Silicone) Glass
1. abc
2. abd
3. bc
4. bde

Correct answer: 2. abd

Explanation: IOL are made of (i) PMIVIA (rigid IOL); (ii) Silicon, acrylic, hydrogel, collamer (foldable IOL).